Draining sinuses are seen in -a) Mycetomab) Scrofulac) Lupus vulgarisd) Pediculosis
1. ac
2. ab
3. ad
4. bc

Correct answer: 2. ab